Which of the following carries higher risk of DVT and pulmonary thromboembolsim:
1. Hand surgery
2. Breast surgery
3. Hip surgeries
4. Obesity

Correct answer: 3. Hip surgeries

Explanation: Ans. C i.e. Hip surgeriesAcquired risk factors for DVTIt include the strong risk factor of older age, which alters blood composition to favor clotting.Other important acquired risk factors include major surgery and trauma, both of which may increase the risk because of tissue factor from outside the vascular system entering the bloodIn orthopedic surgery, venous stasis may be temporarily provoked by a cessation of blood flow as part of the procedure.Cancer can grow in and around veins, causing venous stasis, and can also stimulate increased levels of tissue factor.Pregnancy causes blood to favor clotting, and in the postpartum, placental tearing releases substances that favor clotting.Oral contraceptives and hormonal replacement therapy increase the risk through a variety of mechanisms, including altered blood coagulation protein levels and reduced fibrinolysis